All the following are features of chronic lead poisoning except -
1. Encephalopathy
2. Burtonian line
3. Cutaneous blisters
4. Constipation

Correct answer: 3. Cutaneous blisters

Explanation: Blisters are not a feature of lead poisoning.
Encephalopathy, Burtonian line and constipation are seen in lead poisoning.